Regarding vaginal candidiasis which is false:
1. Cottage cheese like secretions are seen
2. Intense pruritus
3. Most common in non-pregnant women
4. Buds and hyphae seen in KOH preparation

Correct answer: 3. Most common in non-pregnant women

Explanation: Candidiasis is caused by Candida albinism which thrives in an acidic medium with an abundant supply of carbohydrates. It is found commonly in pregnancy, and in patients on oral contraceptives, antibiotics anD. corticosteroids. It is also seen in patients with diabetes. It causes a profuse discharge and intense pruritus with soreness of vagina and dysuriA. Vagina and vulva are edematous and excoriated and the white patches of cheesy material on the vagina and vulva can be easily identifieD. A 10% KOH smear shows the buds and hyphae of the Candida organism. Nystatin or ketoconazole vaginal tablets used for one week are curative when used along with a cream of the same medication for External use.